As per census 2001, most populous state during 19912001 was:
1. Tripura
2. Rajasthan
3. Uttar pradesh
4. Orissa

Correct answer: 3. Uttar pradesh

Explanation: Ans. C: Uttar pradesh During 1991-2001, the lowest growth rate was recorded in Kerala 9.42 percent followed by Tamil Nadu (11.19) and Andhra Pradesh (13.86). Andhra Pradesh has shown the sharpest decline among all the major states (10.34 percent). Uttar Pradesh continues to be the most populous state in the country with 16.17 percent of India's population followed by Maharashtra (9.42 percent) and Bihar (8.07 percent). In fact the population of Uttar Pradesh (166 million) is more than the estimated population of Pakistan.